Which one of the following Lymphomas is associated with HTLV-virus infection?
1. Burkitt's lymphoma
2. B-cell lymphoma
3. Adult T-cell leukemia and lymphoma
4. Hodgkin's disease

Correct answer: 3. Adult T-cell leukemia and lymphoma

Explanation: (C) Adult T-cell leukemia and lymphoma # HTLV-1 is associated with adult T-cell leukemia / lymphoma> Tropism for CD4+T cells> Human infection by Sexual intercourse Blood products Breast-feeding> Leukemia develop in only 3% to 5% of the infected individuals after a long latent period of 40 to 60 years. HTLV-1 is also associated with a demyelinating neurological disorder: Tropical Spastic Paraparesis and some form of Uveitis Arthritis> HTLV-1 is associated with adult T-cell leukemia / lymphoma> Tropism for CD4+T cells> Human infection by Sexual intercourse Blood products Breast-feeding> Leukemia develop in only 3% to 5% of the infected individuals after a long latent period of 40 to 60 years. HTLV-1 is also associated with a demyelinating neurological disorder: Tropical Spastic Paraparesis and some form of Uveitis Arthritis.